HBV replication is indicated by -a) HBV DNAb) DNA polymerasec) HBeAgd) Anti-HBe
1. abc
2. bc
3. acd
4. bcd

Correct answer: 1. abc